A patient presents with secondaries to the adrenals. The most common site of primary is :
1. Lung
2. Kidney
3. Breast
4. Stomach

Correct answer: 1. Lung

Explanation: Answer is A (Lung) The most common site of primary in a patient presenting with secondries to adrenals is Melanoma. Lung and bladder are the second most frequent sites of primary. Amongst the options provided Lung is the single best answer. Most common sites of spread to Adrenals: Primary Metastatic site (% involvement) Melanoma 48% Lung 35% Bladder 35% Cervix 31% Colorectum 31% Breast 31% Kidney 20% Ovary 20% Prostate 17%